ORS should be discarded
1. After 6 hours 13.
2. After 12 hours
3. After 24 hours
4. After 36 hours

Correct answer: 3. After 24 hours

Explanation: After 24 hours